A patient Secta is diagnosed to be having iron deficiency anemia. The agent that can be used to improve the absorption of iron is:
1. Antacids
2. Tetracyclines
3. Phosphates
4. Ascorbic acid

Correct answer: 4. Ascorbic acid

Explanation: (Ref: KDT 6/e p582, 583) Substances improving the absorption of iron Substances improving the absorption of iron 1. Acid 1. Antacids 2. Reducing substances like ascorbic acid 2. Phosphates 3. Meat 3. Phytates 4. Tetracyclines 5. Food in the stomach